A 32 year old housewife was found to be dead in the bedroom. Examination shows incisional wounds all over the body including her genitals. Incisional wounds on genital organs are seen commonly in:
1. Accidents
2. Suicides
3. Homicides
4. Postmortem artifact

Correct answer: 3. Homicides

Explanation: Homicidal wounds are usually multiple and can occur in any region of the body. Incised wounds on the nose, ears, and genitals are usually homicidal and are inflicted on account of jealousy or revenge in cases of alleged adultery. Incised wounds situated on the back, or in a such a position as cannot be easily reached by a suicide, are also homicidal. Ref: The Essentials of Forensic Medicine and Toxicology by Narayan Reddy, 27th edition, Page 171.